Anterior interosseous nerve supplies:-
1. Brachioradialis
2. Flexor pollicis longus
3. Flexor carpi ulnaris
4. Flexor digitorum superficialis

Correct answer: 2. Flexor pollicis longus

Explanation: Anterior interosseous nerve is a branch of median nerve and supplies the deep muscles of the anterior forearm: Flexor pollicis longus, pronator quadratus radial half of flexor digitorum profundus. Brachioradialis: Radial nerve Flexor carpi ulnaris: Ulnar nerve Flexor digitorum superficialis and Pronator teres: Median nerve.